Influenzae virus belongs to which family?
1. Paramyxovirus
2. Orthomyxovirus
3. Bunyaviridae
4. Togaviridae

Correct answer: 2. Orthomyxovirus

Explanation: Ans. (b) OrthomyxovirusRef: Appendix-141 for viruses classification